Not true about hearing loss in otosclerosis?
1. Common in male of age > 40 yrs
2. Vertigo +
3. Paracusis Willisii
4. Schwartz sign

Correct answer: 1. Common in male of age > 40 yrs